For normal mammography, X-ray tube with a nominal focal size of-mm is used?
1. 0.2-0.25
2. 0.3-0.35
3. 0.4-0.45
4. 0.45-0.50

Correct answer: 2. 0.3-0.35

Explanation: Ans BIn general smaller the focal spot sharper the image Routinely focal spot size 0.3x0.3mm while magnification technique small focus of 0.1x0.1mm is used.